EBV Causes:
1. Ca cervix
2. Ca Nasopharynx
3. Ca lung
4. Ca uterus

Correct answer: 2. Ca Nasopharynx

Explanation: Ca Nasopharynx